Myocarditis can be caused by -
1. Schistosomia
2. Ankylostoma duodenale
3. Trichuris trichura
4. Trichinella spiralis

Correct answer: 4. Trichinella spiralis